Relative risk is associated with:
1. Cohort studies
2. Cross sectional studies
3. Envoirnmental studies
4. Case control studies

Correct answer: 1. Cohort studies

Explanation: Ans. A: Cohort studies The relative risk (RR), also called risk ratio, is simply a ratio of the probability of the disease occurring in an exposed group versus a non-exposed group. This measure of effect size differs from the odds ratio in that it compares probabilities instead of odds, but asymptotically approaches the latter for small probabilities. While both measures are useful, they have different statistical uses. In medical research, for example, the odds ratio is favoured for case-control studies and retrospective studies. Relative risk is used in randomized controlled trials and cohort studies.